Anti RO antibodies are seen in -
1. Subacute cutaneous lupus
2. Myasthenia gravis
3. Systemic sclerosis
4. Mixed connective tissue disorder

Correct answer: 1. Subacute cutaneous lupus

Explanation: Ans. is 'a' i.e., Subacute cutaneous lupus Anti-RNP SS-A (Ro), SS-B (La) are seen in neonatal lupus with congenital heart block and in subacute cutaneous lupus.These antibodies are associated with decreased risk of lupus nephritis.